Pronator drip is a sign of -
1. UMN lesion of upper limb
2. LMN lesion
3. Dorsal syringomyelia
4. Carpel tunnel syndrome

Correct answer: 1. UMN lesion of upper limb